Arthritis mutilans is a feature of?
1. Lichen planus
2. Psoriasis
3. Staphylococcal scalded skin syndrome
4. Eczema

Correct answer: 2. Psoriasis

Explanation: Ans. b (Psoriasis). (Ref. Harrison' sprinciples of medicine -18th/Chapter 52.)PSORIASIS# Classical features:- White scaly plaques with specific distribution over the body.- Pitting (thimble) of nails.- Onychodystrophy, Subungual hypertrophy.- Arthritis mutilans, rare and late feature {pencil in cup sign, pestle in mortar sign). (MH 2008)# Treatment:- Unstable psoriasis = liberal application of topical bland emollient & supportive therapy.- PUVA therapy is used in severe cases.- Oral methotrexate, retinoids, cylosporin can be used, however systemic steroids are usually avoided for the fear of precipitating pustular psoriasis upon withdrawal.